For optimum esthetics when setting maxillary denture teeth, the incisal edges of the maxillary incisors should follow the _____.
1. Lower lips during smiling
2. Upper lips during smiling
3. Lower lips when relaxed
4. Upper lips when relaxed

Correct answer: 1. Lower lips during smiling

Explanation: Maxillary teeth should contact the wet dry lip line when fricative sounds f, v, and ph are made. These sounds help to determine the position of the incisal edges of the maxillary anterior teeth.